Treatment of metastatic disease in retinobastoma -
1. Chemotherapy
2. Enucleation
3. Radiotherapy
4. Cryo

Correct answer: 1. Chemotherapy

Explanation: Standard dose CVE regimen for group A B &C patients : 3 weekly 6 cycles of carboplastin on day 1 , vincristine on day 1 & etoposide on day 1 & 2. High dose CVE regimen for group D: 3 weekly 6-12 cycles of the same . Ref : ak khurana 6th edition